A carrier who gets infected from another carrier is known as
1. Incubatory carrier
2. Pseudo carrier
3. Convalescent carrier
4. Paradoxical carrier

Correct answer: 4. Paradoxical carrier